Marbling in summer occurs within:
1. 18 h
2. 36 h
3. 48 h
4. 72 h

Correct answer: 2. 36 h

Explanation: Ans. 36 h